Main recommendation of Jungalwalla committe?
1. Creation of multipurpose worker
2. Health survey and planning
3. 1 PHC for 50000 population
4. Integration of health services

Correct answer: 4. Integration of health services

Explanation: Ans. is 'd' i.e., Integration of health services Health Planning in India The guide lines for national health planning were provided by a number of committees. These committees were appointed by the Government of India from time to time to review the existing health situation and recommend measures for further action.